Shepherd crook deformity is seen in?
1. Fibrous dysplasia
2. Non ossifying fibroma
3. Adamantinoma
4. Fibrous cortical defect

Correct answer: 1. Fibrous dysplasia

Explanation: ANSWER: (A) Fibrous dysplasiaREF: Sutton's 7th ed p. 1131Fibrous dysplasia in the femur, deformity due to softening, expansion and fracture gives an appearance likened to a 'shepherd's crook' and discrepancies in limb length result. Lesions are well defined and may be expanded with well-defined margins. These may be lucent, dense or a mixture of the two, with small flecks of density due to ossification